All of the following are diagnostic criteria of Allergic Fungal Sinusitis (AFS), EXCEPT:
1. Areas of High Attenuation on CT scan
2. Orbital invasion
3. Allergic Eosinophilic mucin
4. Type I Hypersensitivity

Correct answer: 2. Orbital invasion

Explanation: The diagnostic criteria for allergic fungal sinusitis (AFS) are the presence of characteristic allergic mucin, type I hypersensitivity (eosinophilic-lymphocytic inflammation), absence of fungal invasion, immuno-compromised individuals and radiological confirmation (areas of high attenuation on CT scan).